Trauma to breast causes which type of necrosis ?
1. Coagualtive necrosis
2. Liquefactive necrosis
3. Caseous necrosis
4. Fat necrosis

Correct answer: 4. Fat necrosis

Explanation: Ans. is 'd' i.e., Fat necrosis Fat necrosis Fat necrosis may be of two types : ? Enzymatic fat necrosis This is due to action of lipase on adipose tissue. It occurs most frequently in acute pancreatitis due to leakage of lipase. Depending on the severity of acute pancreatitis, fat necrosis may occur in : - a Adipose tissue contiguous to pancrease, retroperitoneal fat. Adipose tissue in anterior mediastinum. Bone marrow Omental and abdominal fat Nonenzymatic or Traumatic fat necrosis Occurs due to trauma Is seen in subcutaneous tissue of breast, thigh, and abdomen.